Trisomy 13 is seen in
1. Edward Syndrome
2. Patau Syndrome
3. Down Syndrome
4. Turnur Syndrome

Correct answer: 2. Patau Syndrome

Explanation: Trisomy 13 is seen in Patau syndrome Edward syndrome is trisomy 18 Down syndrome trisomy 21 and turner syndrome is due to 45 XO . Reference : Nelson TB of pediatrics 19th edition.